Which of the following does not contribute to glucose by gluconeogenesis?
1. Lactate
2. Acetyl CoA
3. Pyruvate
4. Oxaloacetate

Correct answer: 2. Acetyl CoA

Explanation: Ans. B. Acetyl-CoA(Ref: Harper 31/e page 172, 173)Lactate from muscle and RBC are converted to glucose in the liver (Coris Cycle)Lactate and Alanine is converted to Pyruvate which can enter into Gluconeogenesis.Oxaloacetate is converted to Phospho enol Pyruvate by PEPCK and enter in to Gluconeogenesis.